Cell rich zone is rich in
1. Fibroblasts
2. Mesenchymal cells
3. Odontoblast
4. Ameloblast

Correct answer: 1. Fibroblasts